Ferric chloride test is used to diagnose:
1. Phenylketonuria
2. Alkaptonuria
3. Hartnup disease
4. Cystinuria

Correct answer: 1. Phenylketonuria

Explanation: a. Pheylketonuria(Ref: Nelson's 20/e p 636-642; Ghai 8/e p 653-655)Ferric chloride test is used to determine the presence or absence of phenols in a given sample.FeCl3 test with urine gives green colour in Phenylketonuria (detects phenylalanine in urine).